Area under normal curve within +- 1SD (standard deviation)-
1. 0.68
2. 0.17
3. 0.12
4. 0.34

Correct answer: 1. 0.68

Explanation: Ref:Parks 23rd edition pg 849. +/-1sd includes 68% i.e . 0.68 1SD : confidence limit = 68% 2SD : confidence limit = 95% 3SD : confidence limit = 99.7%